Hoffman's elimination is seen with :
1. Atracurium
2. Vecuronium
3. Pancuronium
4. Rocuronium

Correct answer: 1. Atracurium